A young male with galbladder stones shows the following test results, serum bilirubin 2.5, Hb 6, urine test positive for urobilinogen, diagnosis is -
1. Hemolytic jaundice
2. Obstructive jaundice
3. Hepatocellular jaundice
4. Protoporphyria

Correct answer: 1. Hemolytic jaundice